True statement regarding Hirschsprung's disease –
1. Giant ganglia are present
2. Mucosa is involved and show foldings
3. Manometry excludes the disease
4. Rectal biopsy is contraindicated in infants

Correct answer: 3. Manometry excludes the disease

Explanation: Anorectal manometry is a useful screening procedure for the diagnosis of Hirschsprung's disease. A normal response in course of manometric evaluation precludes diagnosis of Hirschsprung's disease.
However the confirmation of diagnosis in case of Hirschsprung's disease is done by rectal biopsy.